Pasteurization is done at:
1. 73degC for 20 minutes
2. 63degC for 30 minutes
3. 94degC for 20 minutes
4. 100degC for 10 minutes

Correct answer: 2. 63degC for 30 minutes

Explanation: Ans. b. 63aC for 30 minutesRef: Jawetzs Medical Microbiology 27th Ed; Page No-346-47Pasteurization: It is the method used for control of borne pathogens such as Mycobacterium bovis, Brucella, and Listeria from beverages like fruit and vegetable juices, beer, and dairy products such as milk.Two method are available Holder method:Holder method: 63degC for 30 minutesFlash method: 72degC for 20 seconds followed by rapid cooling to 13degC or lower.All non-sporing pathogens, including mycobacteria, Brucella and salmonella are killed except Coxiella burnetii, which causes Q fever, is resistant to drying. This organism resistant to Holder method.